Chvostek sign is?
1. Twitching of circumoral muscles on tapping of facial nerve
2. Involuntary blink on tapping on facial nerve
3. Inability to open eye on tapping of facial nerve
4. Inability to close eye on tapping of facial nerve

Correct answer: 1. Twitching of circumoral muscles on tapping of facial nerve

Explanation: 1. Chvostek sign - seen in hypocalcemia - Twitching of Circumoral Muscle on tapping of Facial Nerve 2. Inability to open eye on tapping of facial nerve - L.P.S 3rd nerve